Which is not a perceptional disorder -
1. Hallucinations
2. Illusion
3. Delusion
4. None

Correct answer: 3. Delusion

Explanation: Ans. is 'c? i.e., Delusion o Delusion is disorder of thought.o Interpretation of information received through the five sensory modalities, i.e., touch, sight, hearing, olfaction and taste is called perception. Sensory input is given by an external object which produces an internal percepto Disorder of perception may be: -Altered perception : - There is alteration of preception of a real external stimulus. It may be : -Sensory distortion : - There is change in the intensity of a real external stimulus. For example micropsia (perceiving a real object smaller than its normal size) and hyperacusis (perceiving sounds as abnormally loud).Illusion : - There is misinterpretation of a real external stimulus. For example mistaking a stick for snake.False perception : - There is an internal perception without a real external stimulus, e.g., Hallucination and pseudo-hallucination